In the grading of trachoma, trachomatous inflammation - follicular is defined as the presence of
1. 5 or more follicles in the lower tarsal conjunctiva
2. 3 or more follicles in the lower tarsal conjunctiva
3. 5 or more follicles in the upper tarsal conjunctiva
4. 3 or more follicles in the upper tarsal conjunctiva

Correct answer: 3. 5 or more follicles in the upper tarsal conjunctiva

Explanation: Ans. is 'c' ie., Five or more follicles in the upper tarsal conjunctiva * Trachomatous inflammation follicular is a grade in WHO classification of trachoma which is the latest classification and has replaced all previous classification i.e., (Me Callans and Jone's classification)The WHO classification of Trachoma (Mnemonic : FISTO)Diagnosis* Trachomatous inflammationImplies active disease* At least 5 or more follicles of at least 0.5 mm diameterFollicularwhich needs treatmenton the upper tarsal conjunctiva * Some papillae may also be present but the palpebral conjunctival blood vessels are visible* Trachomatous inflammations IntenseSevere disease which needs urgent treatment* The follicles and papillae are so numerous and inflamed that more than 50% of the palpebral conjunctival blood vessels cannot be seen clearly.* Trachomatous ScarringOld inactive infection* This stage is dignosed by the presence of scarring in the tarsal conjunctiva. These scars are easily visible white banks or sheets(fibrosis) in the tarsal Conjunctiva.* Trachomatous TrichiasisNeeds corrective surgery * This is diagnosed when at least one eye lash rubs the eye ball. evidence of recent removal of inturned eye lashes is also graded as trachomatous trichiasis.* Trachomatous OpacityVisual impairment * This stage is diagnosed when easily visible corneal opacity is present over the pupil